Drug effective for most trematodes and many cestodes-
1. Praziquental
2. Pirenzipine
3. Niclosamids
4. Pyrantel palmoate

Correct answer: 1. Praziquental

Explanation: Ans. is 'a' i.e., Praziquantal Praziquental o Praziquantal is the DOC for treatment of all trematodes and cestodes except for fasciola hepatica (DOC bithionol) and hydatid disease (DOC albendazole), Neurocysticercosis (DOC is albendazole). o It acts by causing leakage of intracellular calcium from the membrane --9 contracture & paralysis. o At relatively higher concentrations, it causes vacuolization of the tegument and release of the contents of tapeworms and flukes followed by their destruction by the host -3 this action appear to be more important in case of schistosomes and flukes. o Despite systemic absorption praziquantel exhibits no systemic toxicity.